Index ages for the survey are (OR) the age groups recommended in the national pathfinder survey are
1. 5, 15, 25, 35, 65 to 70 years
2. 5, 10,15,30,60 to 70 years
3. 5, 12, 15, 35 to 44 and 65 to 74 years
4. 5 to 10, 15 to 35, 40 to 65 years

Correct answer: 3. 5, 12, 15, 35 to 44 and 65 to 74 years